Shrugging of shoulder following neck surgery due to injury to:-
1. Spinal accessory nerve
2. Thoracodorsal nerve
3. Bell's nerve
4. Vagus nerve

Correct answer: 1. Spinal accessory nerve

Explanation: Shrugging of shoulder is because of trapezius muscle, supplied by spinal accessory nerve Radical neck dissection: - Removal of level I - V lymph nodes - Removal of spinal accessory nerve, internal jugular vein and sternocleidomastoid muscle